Which of the following is the outermost layer of the eyeball
1. Fibrous coat
2. Vascular coat
3. Nervous coat
4. Lymphatics channel

Correct answer: 1. Fibrous coat

Explanation: The eyeball comprises three coats :outer fibrous coat, middle vascular coat, inner nervous coat. Fibrous coat. It is a dense strong wall which protects the intraocular contents. Anterior 1/6 th of this fibrous coat is transparent and is called cornea. Posterior 5/6th opaque part is called sclera. Junction of cornea and sclera is called limbus. Vascular coat. It supplies nutrition to various structures of the eyeball Nervous coat. It is concerned with visual function. Image: Layers of eye ball Reference: A.K.Khurana; 6th edition; Page no: 3